All are true regarding Isavuconazonium sulfate except:-
1. Effective against yeasts, molds, and dimorphic fungi
2. Acts through blocking cytoplasmic proteins
3. Approved for aspergillous and mucormycosis
4. Devoid of nephrotoxicity

Correct answer: 2. Acts through blocking cytoplasmic proteins

Explanation: ISAVUCONAZONIUM SULPHATE- inhibits L-14 alpha demethylase and inhibits cell wall formation and does not act through blocking cytoplasmic proteins. It is effective against yeasts, moulds and dimorphic fungi. It is approved for aspergillosis and mucormycosis. It is devoid of nephrotoxicity.